The stereocilia of hair cells are embedded in which membrane?
1. Basilar
2. Reissner's
3. Tectorial
4. Tympanic

Correct answer: 3. Tectorial

Explanation: The scala media is bordered by the basilar membrane and Reissner's membrane and contains a tectorial membrane. The apical border of hair cells has stereocilia that are embedded in the tectorial membrane.